The function of 8th cranial nerve is related to ?
1. Smell
2. Touch
3. Taste
4. Balance

Correct answer: 4. Balance

Explanation: Vestibular pathway of vestibulocochlear nerve / 8th cranial nerve - The vestibular receptors are the maculae of the saculae and the utricle (For static balance ) and crista of the ampullaries of semicircular ducts for kinetic balance . Fibres from cristae of anterior and lateral semicircular canals and some fibres from the the two maculae lie in superior vestibular area of internal acoustic meatus. Fibres of cristae of posterior semicircular canal lie in foramen singulare. Most of the fibres from maculae of utricle and saculae lie in inferior vestibular area. Ref : B D Chaurasia 's Human Anatomy, seventh edition , volume 4 , pg. no., 77.